Xiphoid process fuses with sternum after:
1. 60 years
2. 40 years
3. 30 years
4. 20 years

Correct answer: 2. 40 years

Explanation: Ans. 40 years